False regarding papillae of the tongue
1. Fungiform papillae at tip
2. Circumvallate papillae at base
3. Foliate papillae at back edge
4. Filiform papillae have taste buds at tip

Correct answer: 4. Filiform papillae have taste buds at tip

Explanation: In humans, the taste buds are located in the mucosa of the epiglottis, palate, and pharynx in the walls of papillae of the tongue. The fungiform papillae are rounded structures most numerous near the tip of the tongue; the circumvallate papillae are prominent structures arranged in a V on the back of the tongue; the foliate papillae are on the posterior edge of the tongue.